Increased risk of hepatic malignancy is seen in which benign liver tumour?
1. Hemangioma
2. Hepatic adenoma
3. Focal nodular hyperplasia
4. Hemangioendothelioma

Correct answer: 2. Hepatic adenoma

Explanation: Adenomas are benign liver tumours seen almost exclusively in women aged between 25 and 50 years. Adenomas are recognised as having malignant potential, with up to 10% developing into hepatocellular carcinoma.Focal nodular hyperplasia (FNH) is an unusual but not uncommon benign condition of unknown aetiology, in which there is a focal overgrowth of functioning liver tissue supported by fibrous stroma. FNH does not have any malignant potential.Hemangiomas are the most common liver lesions, Diagnosis is usually incidental, and surgical resection only recommended if patients are significantly symptomatic or significant diagnostic uncertainty remains after multimodal imagingRef: Bailey and love 27e pg: 1172